Uncinate process of ethmoid bone is attached anteriorly to the bone?
1. Sphenoid
2. Ethmoid
3. Lacrimal
4. Frontal

Correct answer: 3. Lacrimal

Explanation: Ethmoid bone is a pneumatic bone & contains ethmoid air cells, superior & middle turbinates. Ethmoid bone forms medial wall of orbit. Orbit wall Bone Medial Ethmoid bone Roof Frontal bone Lateral Zygomatic bone Floor Maxilla Uncinate process is a part of ethmoid bone, coming from middle turbinate. Attachments: Anterior - Lacrimal bone & frontonasal process of maxilla Posterior - Free but related to perpendicular plate of palatine bone. Inferiorly - Inferior turbinate.